In post-coital test, which of the following factors is assessed?
1. Cervical factor
2. Vaginal factor
3. Uterine factor
4. Psychological factor

Correct answer: 1. Cervical factor

Explanation: Ans. a (Cervical factor) (Ref. Shaw's Textbook of Gynaecology 12th/pg. 158).POSTCOITAL TEST (SIMS-HUHNER TEST)# Near the time of ovulation each month, estrogen production from the ovaries stimulates mucus production by cervix. Sperm must penetrate and swim through this mucus, then travel through the reproductive tract to reach the egg for fertilization.# In some cases, there is an incompatibility between the sperm and the cervical mucus, causing the sperm to become immobile or die, thus preventing fertilization.# The postcoital test evaluates the interaction between the sperm and cervical mucus at a time near ovulation to determine if an incompatibility exists.# Abnormal mucus may occur because of infections, surgery or clomifene therapy.# This test is a poor predictor of pregnancy success, but may be useful to determine the need for intrauterine insemination.# If it is done too early before ovulation or too late after, the results may be falsely abnormal.Postcoital test (Sim's/Huhner's test): Couple is advised intercourse close to ovulation time preferably in early hours of morning. Woman comes within two hours after intercourse. Another smear made from posterior fornix serves as control. Normally 10-15 motile sperms are seen per HPF. If less than 10 sperms, semen analysis is undertaken; the sperms show progressive but not rotatory movements. Presence of antispermal antibodies in the cervical canal imparts shaky/ rotatory movements or may totally immobilize sperms. Cervical mucus is simultaneously studied.